Which one of the following is not a human disease?
1. Scrapie
2. Creutzfeldt Jacob disease
3. Crimean-Congo hemorrhagic fever
4. Sodoku

Correct answer: 1. Scrapie

Explanation: (A) Scrapie# SCRAPIE is a fatal, degenerative disease that affects the nervous systems of sheep and goats. It is one of several transmissible spongiform encephalopathies (TSEs), which are related to bovine spongiform encephalopathy (BSE or umad cow disease") and chronic wasting disease of deer. Like other spongiform encephalopathies, scrapie is believed to be caused by a prion.> Scrapie is infectious and transmissible among similar animals, and so one of the most common ways to contain scrapie (since it is incurable) is to quarantine and destroy those affected.> However, scrapie tends to persist in flocks and can also arise apparently spontaneously in flocks that have not previously had cases of the disease.> List of zoonoses> Important zoonoses are: Anthrax Avian Influenza (Bird Flu) Bolivian hemorrhagic fever Brucellosis Borrelia Borna virus infection Bovine Tuberculosis Bubonic plague Campylobacteriosis Chagas disease Creutzfeldt-Jakob disease (CJD) a Transmissible spongiform encephalopathy (TSE) from Bovine spongiform encephalopathy (BSE) or "Mad cow disease" Crimean-Congo hemorrhagic fever Cutaneous larval migrans Dengue Fever Ebola fever Echinococcosis Hantavirus Henipavirus Korean hemorrhagic fever Labrea fever Lassa fever Leishmaniasis Leptospirosis Listeriosis Marburg virus infection Monkey B virus Nipah virus Ocular larval migrans Ornithosis (psitacosis) Oropouche fever Q-Fever Psittacosis also called "parrot fever" Plague Rabies Rift Valley fever Ringworms (Tinea canis, mainly) Salmonellosis Sodoku Toxoplasmosis Trichinosis Typhus and other Rickettsial diseases Venezuelan hemorrhagic fever Visceral larval migrans Yellow fever> Other zoonoses might be: Glanders SARS (possibly; civet cats may spread the disease, or may catch the disease from humans.)